Labile toxin of E.coli can be detected by the following methods of incubation except -
1. Into infant rabbit bowel
2. Into adult rabbit skin
3. Intra gastrically into infant Mouse
4. Into Tissue Culture of Chinese Hamster ovary cells

Correct answer: 3. Intra gastrically into infant Mouse